Which of the following vaccines can result in Thrombocytopenia?
1. MMR vaccine
2. Typhoid vaccine
3. Influenza vaccine
4. HIB vaccine

Correct answer: 1. MMR vaccine

Explanation: a. MMR vaccine(Ref: IAP 223, Ghai 8/e p 145)With Measles vaccine, Thrombocytopenic purpura may occur at a frequency of 1/30,000 vaccinees.One of the components of MMR is the Measles vaccine; So MMR vaccine can cause thrombocytopenia.